Inferior mesenteric vein drains into:
1. Portal vein
2. Splenic vein
3. Superior mesenteric vein
4. Renal vein

Correct answer: 2. Splenic vein

Explanation: Ans. B. Splenic veininferior mesenteric vein (IMV) is a blood vessel that drains blood from the large intestine. It usually terminates when reaching the splenic vein, which goes on to form the portal vein with the superior mesenteric vein.Tributaries of the inferior mesenteric vein drain the large intestine, sigmoid colon and rectum and include thea. left colic veinb. sigmoid veinsc. superior rectal veind. rectosigmoid veins